"Time of flight" technique is employed in -
1. Spiral CT
2. MR imaging
3. CT angiography
4. Digital radiography

Correct answer: 2. MR imaging

Explanation: Time of flight angiography (TOF) is an MRI technique to visualize flow within vessels, without the need to administer contrast